Primary malignancy of pleura is?
1. Mesothelioma
2. Lymphoma
3. Lipoma
4. Squamous cell carcinoma

Correct answer: 1. Mesothelioma

Explanation: Ans. is 'a' i.e., Mesothelioma * Primary tumors of pleura are pleural fibroma (benign mesothelioma) and malignant mesothelioma.Remember - Secondary tumors are more common than primary tumors in pleura and most commonly metastasize from lung and breast cancers.